All of the following are components of the Apgar score except:
1. Color
2. Heart rate
3. Respiratory rate
4. Muscle tone

Correct answer: 3. Respiratory rate

Explanation: Respiratory rate is not a component of Apgar score; however, respiratory effort is: The Apgar score is an objective method of evaluating the newborn's condition using the 5 parameters stated below It is performed at 1 minute and 5 minutes after birth Components of APGAR score: Color (A Appearance) Heart rate (P Pulse) Response to a catheter in nostril (G Grimace) Muscle tone (A activity) Respiratory effort (R) (not respiratory rate) Apgar score is not used to guide resuscitation, and resuscitation must be initiated before the 1-minute score The change of score at sequential time points following birth reflects how well the baby is responding to resuscitative efforts. Ref: Nelson textbook of pediatrics 21st edition Pgno: 872